In sickle cell anemia
1. Glutamate replaces valine
2. Valine replaces glutamate
3. Valine replaces aspartate
4. Aspartate replaces valine

Correct answer: 2. Valine replaces glutamate

Explanation: Sickle cell anemia is caused by mutation in the beta globin chain, that changes the amino acid glutamate to valine in the 6th position of beta globin chain of HbRef: Textbook of medical physiology by N Geetha, 3rd edition, page no. 94